Which phase is most sensitive to radiotherapy in ceil cycle -
1. G2
2. G1S
3. G2M
4. Late S

Correct answer: 3. G2M

Explanation: Ans. is 'c'i.e., G2M o Most sensitive phase of cell cycle - G2M interphaseo Most resistant phase of cell cycle - Late 'S' phaseImportant facts about radiosensitivityo Dividing cells ar4e most sensitive to RTo Non-dividing cells are relatively resistant to RTo Hypoxic cells are resistant to RTo Phase of cell cycle most sensitive to RT - G2Mo Phase of cell cycle most resistant to RT - End of S phaseG2M > G2 > M > G1 > Early S > Late So Phase of cell cycle in which radiation exposure leads to chromosomal aberration - G1o Phase of cell cycle in which radiation exposure leads to chromatid aberration - G2